Surfactant is produced by: (Repeat)
1. Type 2 pneumocytes
2. Type 1 Pneumocytes
3. Clara cells
4. Endothelium

Correct answer: 1. Type 2 pneumocytes

Explanation: Ans: A (Type 2 pneumocytes) Ref: Nelson s Textbook of Pediatrics. 19th EditionExplanation:Surfactant is produced by Type 2 pneumocytes